Lacerated wound resembles incised wound if it is present on:
1. Abdomen
2. Forehead
3. Thorax
4. Lower limbs

Correct answer: 2. Forehead

Explanation: Forehead